Which of the following conditions is not a parasomnia?
1. Narcolepsy
2. Nocturnal enuresis
3. Somnambulism
4. Somniloquy

Correct answer: 1. Narcolepsy

Explanation: Parasomnias- these are dysfunctional events seen during sleep Somniloquy Somnambulism Nocturnal enuresis Sleep walking Sleep terrors Night mares Narcolepsy is a hypersomnia D/O of sleep.